In reference to Mycoplasma, the following are true except
1. They are inhibited by penicillins
2. They can reproduce in cell free media
3. They have an affinity for mammlian cell membranes
4. They can pass through fiters of 450 nm pore size

Correct answer: 1. They are inhibited by penicillins

Explanation: Ans. is 'a' i.e., They are inhibited by penicillins.(Ref: Harrison, 19th/e, p. 1163; Ananthanarayan, 9th/e, p. 386)Cell wall is absent so they are not inhibited by b-lactum antibiotics.